The rubber dam is particularly adaptable to the primary
second molar because the:
1. Occluso cervical height favours its retention
2. Cervical constriction of the crown favours its retention
3. Mesiobuccal bulge favours its retention
4. Smaller diameter of the crown (as compared to permanent teeth) favours its retention

Correct answer: 2. Cervical constriction of the crown favours its retention